Optium phase for cardiac and coronary vessel imaging are
1. Early systole
2. Mid-diastole
3. Early diastole
4. Late diastole

Correct answer: 2. Mid-diastole

Explanation: Optimum phase for cardiac and coronary vessel image is 

Mid-diastole at low or intermediate heart rates.
Late-systole - at high heart rates.